How many vascular segments are present in each kidney?
1. 3
2. 4
3. 5
4. 6

Correct answer: 3. 5

Explanation: Ans. is 'c' i.e., 5o Renal artery Right renal artery is longer and passes behind I VC. Renal artery divides into : -Posterior division :- Supplies posterior segment.Anterior division :-Divides further into 4 branches to supply apical, upper anterior, middle anterior and lower segments.o Thus, there are five vascular segments in each kidney Posterior, apical, upper anterior, middle anterior and lower.o Branches of renal artery are end arteries.